Rash is absent in ?
1. Scrub typhus
2. Epidemic typhus
3. Q. fever
4. Endemic typhus

Correct answer: 3. Q. fever

Explanation: Ans. is 'c' i.e., Q. fever